Leading questions are permitted only in-
1. Examination in chief
2. Cross examination
3. Dying declaration
4. Re-examination

Correct answer: 2. Cross examination